True statement regarding inverse agonist is:
1. Binds to the receptor and causes intended action
2. Binds to the receptor and causes opposite action
3. Binds to the receptor and causes no action
4. Binds to the receptor and causes submaximal action

Correct answer: 2. Binds to the receptor and causes opposite action